A 20-year-old male presented with jaundice for the past 2 weeks. His liver function tests revealed serum bilirubin to be 0.9 mg/dL, SGOT/SGPT to be 1240/ 1450 IU. He was found to be positive for HBsAg and IgM anti-HEY antibodies and negative for IgM anti-c. The most likely diagnosis is -
1. Acute hepatitis with mutant hepatitis B virus
2. Superinfection of hepatitis E virus with chronic hepatitis B infection
3. Acute hepatitis with wild type hepatitis B virus
4. Co-infection of hepatitis B and E virus

Correct answer: 2. Superinfection of hepatitis E virus with chronic hepatitis B infection